Aspiration of sperms from testis is done in:
1. TESA
2. MESA
3. ZIFT
4. GIFT

Correct answer: 1. TESA

Explanation: Ans. is a, i.e. TESARef: Novak 14th/ed, p1201Either IVF or IUI cannot be performed if appropriate methods for sperm recovery are not available in cases of male infertility.Sperm retrieval or recovery can be done by:* Microsurgical epididymal sperm aspiration: MESAQ* Percutaneous epididymal sperm aspiration: PESAQ* Testicular sperm extraction: TESEQ* Percutaneous testicular sperm fine needle aspiration: TESAQ* The choice of the method depends on:i. The underlying diagnosis,ii. Whether goal of the procedure is diagnostic or therapeuticiii. Whether, isolated sperm will be used immediately or cryopreserved.Note: GIFT: (Gamete Intra Fallopian Transfer)/ZIFT: (Zygote Intra Fallopian Transfer)They are alternatives to IVF in which oocytes and sperm (in GIFT) or zygote (in ZIFT) are transferred to fallopian tube instead of uterus via laparoscopy. Once commonly used, as they offered high success rates to women with normal tube anatomy (whereas IVF is mainly used in cases where tubal pathology is present), both procedures are relatively rare now.